10% KNO3 is used to
1. treat hypersensitive dentin
2. reduce caries
3. as an acid etchant
4. as a base below restoration

Correct answer: 1. treat hypersensitive dentin